Exarticulation of teeth means
1. Intrusion
2. Extrusion
3. Subluxation
4. Avulsion

Correct answer: 4. Avulsion